All of the following are required for hydroxylation of proline in collagen synthesis except -
1. O2
2. Vitamin C
3. Dioxygenases
4. Pyridoxal phosphate

Correct answer: 4. Pyridoxal phosphate

Explanation: Hydroxylation of proline and lysine during collagen synthesis requires vitamin C (ascorbic acid), molecular oxygen (O2), α-ketoglutarate and enzymes dioxygenases (prolyl hydroxylase, lysyl hydroxylase).